Which of the following is the most common histologic type of thyroid cancer ?
1. Anaplastic type
2. Medullary type
3. Follicular type
4. Papillary type

Correct answer: 4. Papillary type

Explanation: Papillary thyroid cancer is the most common type of thyroid cancer, accounting for 70-90% of well differentiated thyroid malignancies. Histologically the tumor shows papillary projections and a characteristic pale, empty nuclei (Orpahn annie nuclei). Metastasis usually occur through the lymph nodes. Primary tumor is usually a few millimeter in size. This type of carcinoma present as an enlarged lymph node in the juglar chain with no palpable abnormality of the thyroid. Ref: Harrison's Internal Medicine, 18th Edition, Page 2936; Bailey and Love's Short Practice of Surgery, 24th Edition, Pages 798-9, 802; Schwartz's Principles of Surgery, 9th Edition, Chapter 38.